All of the following can be used for the chronic oral treatment of arrhythmia except
1. Amiodarone
2. Esmolol
3. Quinidine
4. Verapamil

Correct answer: 2. Esmolol

Explanation: Since the question mentions chronic treaqtment here esmolol is a beta blocking drug but with very short half life hence cannot be used in chronic treatment of arhymias and route of administration is I.V. Ref: Katzung 12 th ed.